All of the following are features of exstrophy of the bladder, except:
1. Epispadias
2. Cloacal membrane is resent
3. Posterior bladder wall protrudes through the defects
4. Umbilical and inguinal hernia

Correct answer: 2. Cloacal membrane is resent

Explanation: Ans. (b) Cloacal membrane is present* Basic defect in ectopia vesical is abnormal overdevelopment of Cloacal membrane and its rupture